Diagnosis in a ten-year-old boy with recurrent epistaxis and a unilateral nasal mass is-
1. Antrochoanal polyp
2. Hemangioma
3. Angiofibroma
4. Rhinolith

Correct answer: 3. Angiofibroma